An infection or infectious disease transmissible under natural condition from vertebrate animals to man is known as
1. Epizootic
2. Epornithic
3. Zoonoses
4. Exotic

Correct answer: 3. Zoonoses

Explanation: Term Definition Zoonoses An infection or infectious disease transmissible under natural condition from vertebrate animals to man. Exotic Disease which is imported into a country, in which it doesn't occur normally. Epizootic Outbreak of disease in animal population. Epornithic Outbreak of disease in bird population.